Conversion of norepinephrine to epinephrine occur by
1. Methylation
2. Decarboxylation
3. Oxidation
4. Sulphation

Correct answer: 1. Methylation

Explanation: Synthesis of NA occurs in all adrenergic neurons while that of adrenaline occurs only in the adrenal medullary cells. It requires a high concentration of glucocorticoids reaching through the intra- adrenal portal circulation for induction of the methylating enzyme - N methyltransferase. From essential of medical pharmacology K D Tripati 7th edition Page no 124